Treatment of choice for eales disease is
1. Antibiotics
2. Corticosteroids
3. Antihistaminics
4. Surgery

Correct answer: 2. Corticosteroids

Explanation: Eales' diseaseIt is an idiopathic inflammation of the peripheral retinal veins. It is characterized by recurrent vitreous hemorrhage; so also referred to as primary vitreous hemorrhage.Treatment of Eales' disease comprises:1. Medical treatment. A course of oral corticosteroids for extended periods is the mainstay of treatment during active inflammation. A course of antitubercular therapy has also been recommended in selective cases.2. Laser photocoagulation of the retina is indicated in the stage of neovascularization.3. Vitreoretinal surgery is required for non-resolving vitreous hemorrhage and tractional retinal detachment.Ref: Khurana; 4th edition; Pg. 254